The Kennedy classification that is more suitable for an
internal attachment is
1. Class 1
2. Class 2
3. Class 3
4. Class 4

Correct answer: 3. Class 3